Roth's spots are seen in -
1. Infective Endocarditis
2. Rheumatic Endocarditis
3. Central Retinal Arterial Occlusion (CRAO)
4. Typhoid

Correct answer: 1. Infective Endocarditis

Explanation: Ans. is 'a' i.e., Infective Endocarditis o Roth s spots (lesion) are oval retinal haemorrhages with a clear pale center that are typically seen in patients with subacute bacterial endocarditis. They are believed to be caused by immune complex deposition and are included as a minor criteria amongst Duke s criteria for clinical diagnosis of infective Endocarditis.Major clinical manifestation of infective endocarditis Intravascular lesionsImmunological ReactionsSvstemic Manifestations(occurs due to transmission of microemboli to various organs)(Bacterial infection cause immune complex formation)o Fevero Chillso Rigorso Night sweatso Anorexiao Fatigueo Weakness.o Petechiae (skin, eye, mucosa)o Roth spotso Osier's nodeso Janeway lesionso Splinter hemorrhageso Stroke, myocotic aneurysmo Glomerulonephritiso Arthritiso Finger clubbing